A Child brought to casualty with reports of violent shaking by parents. The most likely injury would be?
1. Long bone fracture
2. Ruptured spleen
3. Bilateral Subdural hematoma
4. Skull bone fracture

Correct answer: 3. Bilateral Subdural hematoma

Explanation: Bilateral Subdural hematoma. Battered baby syndrome: A clinical condition in a young child usually under 3 yrs of age, who has received a non-accidental violence or injury, on one or more occasions. at the hands on an adult reposnible for child's welfare. This syndrome be considered in any child: (I). In whom the degree and type of injury is at variance with history given. (2). When injuries of different ages and in different stages of healing are found. (3). When there is purposeful delay in seeking medical attention despite serious injury. (4). Who exhibits evidence of fracture of any bone, SDH, failure tp thrive, soft tissue swellings or skin bruising. (5). Who dies suddenly.